The light brown perinuclear pigment seen on H & E staining of the cardiac muscle fibres in the grossly normal appearing heart of an 83 year old man at autopsy is due to deposition of -
1. Hemosiderin
2. Lipochrome
3. Cholesterol metabolite
4. Anthracotic pigment

Correct answer: 2. Lipochrome

Explanation: Ans. is 'b' i.e., LipochromeThe characteristic mentioned in the question are of lipochrome or lipofuscin. (See above explanation).